A 57-year-old male patient with a history of alcoholism has decided to stop drinking. Of the following, the agent most commonly used to treat anxiety and agitation associated with the initial stages of alcohol withdrawal is
1. zaleplon
2. flurazepam
3. clonazepam
4. chlordiazepoxide

Correct answer: 4. chlordiazepoxide

Explanation: Chlordiazepoxide Because it is long-acting and has relatively low abuse potential, chlordiazepoxide is the antianxiety agent most commonly used to treat the anxiety and agitation associated with the initial stages of alcohol withdrawal.